The amino acid that can be converted into a vitamin:
1. Glycine
2. Tryptophan
3. Phenylalanine
4. Lysine

Correct answer: 2. Tryptophan

Explanation: Ans. B. TryptophanTryptophan can be converted to Niacin.The rate limiting enzyme in Niacin synthesis is Quinolinate Phosphoribosyl Transferase (QPRTase)Specialised products of TryptophanSerotonin (5 Hydroxytryptamine)MelatoninNiacin